Most abundant extracellular ion is?
1. Calcium
2. Potassium
3. Sodium
4. Chloride

Correct answer: 3. Sodium

Explanation: ANSWER: (C) SodiumREF: Guyton's physiology 11th edition page 46, 358Repeat from June 2008 and December 2008Potassium is the most abundant cation in intracellular fluid.Phosphate is the most abundant intracellular anion.Sodium is the most abundant extracellular cation.Chloride is the most abundant extracellular anion.